A patient with an abdominal malignancy underwent procedure for celiac plexus block. Which of the following can be the most common complication in this patient?
1. Hypotension
2. Retroperitoneal hemorrhage
3. Pneumothorax
4. Intravascular injection

Correct answer: 1. Hypotension

Explanation: The most common complication of celiac plexus block is postural hypotension, from block of the visceral sympathetic innervation and resultant vasodilation. For this reason, patients should be adequately hydrated intravenously prior to this block. Other complications include, Accidental intravascular injection into the vena cava Accidental intra aortic injection Pneumothorax Retroperitoneal hemorrhage Injury to the kidneys or pancreas Sexual dysfunction Paraplegia (due to injury to the lumbar artery of Adamkiewicz) Increased gastrointestinal motility and diarrhea Back pain Ref: Butterworth IV J.F., Mackey D.C., Wasnick J.D. (2013). Chapter 47. Chronic Pain Management. In J.F. Butterworth IV, D.C. Mackey, J.D. Wasnick (Eds), Morgan & Mikhail's Clinical Anesthesiology, 5e.